True regarding breath holding spells is all except ?
1. Antiepileptic treatment is necessary
2. Atropine is sometimes used
3. Attacks of cyanosis can occur
4. Occurs between 6 months to 5 years

Correct answer: 1. Antiepileptic treatment is necessary

Explanation: Ans. is 'a' i.e., Antiepileptic treatment is necessary Breath holding spells o Breath holding spell is a paroxysmal event occuring in 0.1% - 5% of healthy children from the age of 6 months to 6 years. o The name for this behaviour may be misnomer in that it connotes prolonged inspiration. Infact, breath-holding occurs during expiration and is reflexive (not volitional) in nature. o There are two major types of breath holding spells ? Cynotic form (more common) Pallid form